Swajaldhara programme is associated with:
1. Provision of safe drinking water
2. Provision of food supplements for destitute women
3. Provision of relief for victim of sexual abuse
4. Provision of health care for sick tribals

Correct answer: 1. Provision of safe drinking water

Explanation: Swajaldhara is a community lead participatory programme, which aims at provision of safe drinking water in rural areas with the full ownership of the community. Swajaldhara has 2 components: Swajaldhara I - for a Grama Panjayath or a group of Panjayath Swajaldhara II - for a district as such Ref: Park, Edition 21, Page - 419